All the following are true regarding oat cell carcinoma of lung except
1. Varient of large cell anaplastic CA
2. Chemotherapy is effective
3. Paraneoplastic syndrome may be present
4. Causes SIADH

Correct answer: 1. Varient of large cell anaplastic CA

Explanation: Oat Small-cell carcinoma (oat cell) and adenocarcinoma of the lung, although the most common lung tumors associated with skeletal metastases, rarely cause Many solid tumors associated with hypercalcemia, particularly squamous cell and renal tumors, produce and secrete PTHrP that causes increased bone resorption and mediate the hypercalcemia through systemic actions on the skeleton. Ref Harrison 19th edition pg 2476